In a monkey temporal lobectomy was done. What is not seen?
1. Sexual desire
2. Visual agnosia
3. Oral tendency
4. Fearfulness

Correct answer: 4. Fearfulness

Explanation: Memory and language problems after temporal lobectomy. Temporary double vision after temporal lobectomy. Increased number of seizures after corpus callosotomy, but the seizures should be less severe. Reduced visual field after a hemispherectomy. Ref: guyton and hall textbook of medical physiology 12 edition page number: 835,836,837